Sea saw nystagmus is seen in -
1. Anterior longitudinal fasiculus
2. Craniopharyngioma
3. Medullary lesion
4. GB. Syndrome

Correct answer: 2. Craniopharyngioma